The following branches originate directly from the subclavian artery, except
1. Vertebral
2. Thyro-cervical trunk
3. Internal Thoracic
4. Supra scapular

Correct answer: 4. Supra scapular